Bilateral symmetrical Sacroilitis is hallmark of :
1. Ankylosing spondylitis
2. Juvenile Rheumatoid arthritis
3. Nail Patella syndrome
4. Osteitis condensans ilii

Correct answer: 1. Ankylosing spondylitis

Explanation: Diagnostic radiological features of Ankylosing spondylitis are: Bilateral symmetrical Sacroilitis (earliest and most specific feature) Bamboo-spine (knobby spine, poker back or universal syndesmophytosis) is a characteristic feature of it. Syndesmophytes - ossifications of the outer fibers of annulus fibrosis. Enthesitis (earliest pathological change) Uncommon involvement of small joints of hand and feet.